All of the following are criteria for substance dependence except:
1. Repeated unsuccessful attempts to quit the substance
2. Recurrent substance related legal problems
3. Characteristic withdrawal symptoms; substance taken to relieve withdrawal
4. Substance taken in larger amount and for longer than intended

Correct answer: 2. Recurrent substance related legal problems

Explanation: B i.e. Recurrent substance related legal problems